Which is not a method of primordial prevention of diseases?
1. Regular exercise
2. Abstinence from alcohol intake
3. Dietary change
4. Identification of cases of Tuberculosis

Correct answer: 4. Identification of cases of Tuberculosis

Explanation: Identification of TB cases is a secondary method of prevention. The rest are primary method of prevention. Primordial prevention consists of actions and measures that inhibit the emergence of risk factors in the form of environmental, economic, social, and behavioral conditions and cultural patterns of living etc. For example, many adult health problems (e.g., obesity, hypertension) have their early origins in childhood, because this is the time when lifestyles are formed (for example, smoking, eating patterns, physical exercise). The main intervention in primordial prevention is through individual and mass education.